Pityriasis rosea true
1. Self limiting
2. Chronic relapsing
3. Life threatening infection (autoimmune disease)
4. Caused by dermatophytes

Correct answer: 1. Self limiting

Explanation: A i.e. Self resolving